Spider leg appearance is found in :
1. Polycystic kidney
2. Pyelonephritis
3. Hydronephrosis
4. Renal artery stenosis

Correct answer: 1. Polycystic kidney

Explanation: A i.e. Ploycystic Kidney Chronic hydronephrosis is most common cause of abdominal mass in first 6 months of life.Q On IVP it shows: - Early = Rim SignQ (thin band of radiodensity surrounding clyces) - Delayed = Opacification & dialation collecting system Polycystic or Congenital cystic kidney presents with abdominal mass, loin pain, heamaturia, infection, hypertension & uremia; but usually not before age of 30 years. On excretory urography it has B/L spiders' leg apearanceQ. Decapping surgery (Rovsing's operation) is rarely indicated, as it only relives pain (no prognostic change) Radiological Feature Disease Rim / Cresent SignQ d/ t ureteric Hydronephrosis & pelvic dialatation lit cortex compression Soap Bubble appearanceQ Hydronephrosis Flower vase appearance of ureterQ Horse shoe kidney Drooping flower appearanceQ Ectopic ureter Cobra (Adder) head appearanceQ Ureterocoel Thimble bladderQ Tubercular cystic (chronic) Sandy patchesQ Schistosomiasis of bladder Fish hook bladderQ BPH B/L Spider leg appearanceQ Polycystic kidney Swiss-cheese nephrogram Sub burst nephrogram Egg in cup appearance, ring Papillary necrosis shadows/ ring sign, lobster claw (analgesic sign or calyceal horns and diminished density of contrast in nephrogramQ nephropathy) Tree barking or Corduroy Squamous appearance (in IVU or RGU) i.e. metaplasia of multiple linear radiolucencies in ureter lit mucosal ureter thickening